Which of the following is true about direct filling gold
1. Properly condensed mat gold has no voids
2. Whatever may be the type voids are inherent
3. Voids can be avoided with manual condensation
4. None of the above

Correct answer: 2. Whatever may be the type voids are inherent